Most common variant of RCC is
1. Clear cell
2. Papillary
3. Chromophobe
4. Collecting duct

Correct answer: 1. Clear cell

Explanation: Clear cell type RCC (70%): This is the most common pattern. The clear cytoplasm of tumour cells is due to the removal of glycogen and lipid from the cytoplasm during the processing of tissues. The tumour cells have a variety of patterns: solid, trabecular and tubular, separated by delicate vasculature. Majority of clear cell tumours are well differentiated. Ref: HARSH MOHAN TEXTBOOK OF PATHOLOGY 6th ed. pg no: 695